10 year old with poor growth, poor appetite, recurrent chest infections and steatorrhea is likely to have
1. High sodium and chloride in sweat
2. Diabetes mellitus
3. Recurrent skin allergy
4. Intellectual disability

Correct answer: 1. High sodium and chloride in sweat

Explanation: The above given case suggestive that child with High sodium and chloride in sweat. Reference: GHAI Essential pediatrics, 8th edition